Sodium valprote in patient with bipolar mood disorder can cause -
1. Peripheral neuropathy
2. Hepatotoxicity
3. Renal failure
4. Cystitis

Correct answer: 2. Hepatotoxicity

Explanation: Ans is 'b' i.e., Hepatotoxicity Adverse effect of Valproate1) Neurological - Ataxia, sedation,tremor2) Systemic- Hepatotoxicity, thromobocytopenia,GI irritation, weight gain, transient alopecia, hyperammonemia, pancreatitis,coagulation disorder